Uses of lanreotide are all except
1. Insulinoma
2. Carcinoid syndrome
3. Glioma
4. Glucagonoma

Correct answer: 3. Glioma

Explanation: Lanreotide and octreotide (somatostatin analogs) are used in secretory diarrhea. Glioma is a neural tumor other uses of lanreotide acromegaly Ref; Katzung 11th Pg 650